Which of the following statements regarding Wits analysis is false?
1. Developed to overcome the limitations of ANB
2. The position of the teeth have no influence
3. Uses the functional occlusal plane
4. Does not specify which jaw is at fault

Correct answer: 2. The position of the teeth have no influence

Explanation: The Wits analysis was conceived primarily as a way to overcome the limitations of ANB as an indicator of jaw discrepancy. It is based on a projection of points A and B to the occlusal plane, along which the linear difference between these points is measured. If the anteroposterior position of the jaws is normal, the projections from points A and B will intersect the occlusal plane at very nearly the same point. The magnitude of a discrepancy in the Class II direction can be estimated by how many millimeters the point A projection is in front of the point B projection, and vice versa for Class III. The Wits analysis, in contrast to the Harvold analysis, is influenced by the teeth both horizontally and vertically. Horizontally because points A and B are somewhat influenced by the dentition and vertically because the occlusal plane is determined by the vertical position of the teeth. It is important for Wits analysis that the functional occlusal plane, drawn along the maximum intercuspation of the posterior teeth, be used rather than an occlusal plane influenced by the vertical position of the incisors. Even so, this approach fails to distinguish skeletal discrepancies from problems caused by displacement of the dentition or specify which jaw is at fault if there is a skeletal problem, and if the Wits analysis is used, these limitations must be kept in mind.
Ref: Contemporary orthodontics, William Proffit, 4th edition page 212